Under the Accelerated Rural Water Supply Programme, recommended per capita daily water supply is:
1. 20 litres
2. 30 litres
3. 40 litres
4. 50 litres

Correct answer: 3. 40 litres

Explanation: Under the Accelerated Rural Water Supply Programme, recommended per capita daily water supply is 40 litres and a public stand post or hand pump for 250 persons. Ref: Health policies and programmes in India, D.K. Taneja 11th edition page: 396